'Pointing index finger' is seen in injury to
1. Radial nerve
2. Ulnar nerve
3. Median nerve
4. Musculocutaneous nerve

Correct answer: 3. Median nerve

Explanation: Ans . c (Median nerve) (Ref. Maheshwari orthopaedics 3rd ed., p. 52)Median Nerve Innervations (Mnemonic): "2LOAF":# Lateral 2 Lumbricals,# Opponens pollicis,# Abductor pollicis brevis,# Flexor pollicis brevis.NerveMuscle affectedFunctional deficit or sign |MedianWrist and hand flexorsParalysis of flexor, pronator, and thenar muscles,Inability to fully flex the index and middle fingers (sign of benediction),"Pointing index finger"Labourer's nerve.UlnarWrist and hand flexorsInability to extend the distal and middle phalanges (clawhand),Loss of thumb abduction,Froment sign positive,Tardy ulnar palsy,Cubitus valgusMusculocutaneousFlexors of arm and forearmWeak arm and forearm flexion, Weak forearm supination.RadialExtensors of forearmsLoss of arm extension, loss of forearms, wrist, proximal phalanges, extension, supination, and thumb abduction, loss of wrist extension (wrist drop), loss of proximal phalangeal extension and thumb extension.Saturday night palsy.AxillaryDeltoid and teres minorInability to fully abduct arm.SuprascapularInfraspinatus, SupraspinatusDifficulty in initiating arm abduction.Long thoracicSerratus anteriorWinging scapula